Anion gap increased in all except
1. Salicylate toxicity
2. Renal failure
3. Lactic acidosis
4. Diarrhoea

Correct answer: 4. Diarrhoea

Explanation: Ans. d (Diarrhoea). (Refer to Q.No.4 of the same section of same paper)Anion gap: (represent unmeasured anions in plasmaXCauses of increased anion gap metabolic acidosis# Ketoacidosis (DM, starvation, acidosis)# Lactic acidosis# Methanol, ethylene glycol, Salicylate toxicity# Renal failureAG = (Na+ + K+) - (Cl + HCO3); Normal AG = 10-12 mmol/L. (AI'2005)# The unmeasured anions include anionic proteins, phosphates, sulphates and organic anions.# An increased anion gap is often due to increase in unmeasured cations (Ca^, Mg+, K+)